The first step in planning cycle for health is
1. Fixing priorities
2. Establishment of objectives and goals
3. Analysis of the health situation
4. Assessment of resources

Correct answer: 3. Analysis of the health situation

Explanation: (C) Analysis of the health situation # Steps of a planning cycle are:> Analysis of the situation> List out the objectives and goals> Assessment of resources> Fix priorities> Write up formulated plan> Programming and implementation> Monitoring, Evaluation